Mondor's disease is ?
1. Thrombophlebitis of the Superficial veins of Breast
2. Carcinoma of the breast
3. Premalignant condition of the breast
4. Filariasis of the breast

Correct answer: 1. Thrombophlebitis of the Superficial veins of Breast

Explanation: Ans is 'a' i.e., Thrombophlebitis of Superficial veins of Breast Mondor's disease is thrombophlebitis of the superficial veins of anterior chest wall and breast although it has also been seen in the arm. frequently involved veins are lateral thoracic vein, thoracoepigastric vein and superficial epigastric veins. aetiology is unknown also known as 'string phlebitis', it presents as a tender cord-like structure. The women may present with acute pain in the lateral asepct of breast or the anterior chest wall. A tender cord-like superficial thrombosed vein is formed and when the skin over the breast is stretched by raising the arm, a narrow shallow subcutaneous groove alongside the cord becomes apparent. rarely it may be bilateral. Management it's a benign self-limited disorder The differential diagnosis is lymphatic permeation from an occult carcinoma of breast When the diagnosis is uncertain or a mass is present near the cord, a biopsy may be done. Treatment - antiinflammatory drugs and warm compresses - restricted arm movements as well as brassiere support of breast - it usually resolves within 4 to 6 weeks. When symptoms persists or are refractory to treatment, the involved vein segment may be excised.